Pain of ovarian carcinoma is referred to -
1. Back of thigh
2. Gluteal region
3. Anterior surface of thigh
4. Medial surface of thigh

Correct answer: 4. Medial surface of thigh

Explanation: Medial side of thigh Ovarian pain is referred along the medial side of the thigh. - The obturator nerve is the adductor compartment of the thigh and during its course when it runs in front of internal iliac vessels it is separated from the normally situated ovary only by the parietal peritoneum lining the pelvic wall. Pain from the ovary may be referred along the nerve to the skin on the medial side of the thigh.